Which of the following is seen in the infant of a diabetic mother:
1. Hyperkalemia
2. Hypercalcemia
3. Macrocytic anemia
4. Polycythemia

Correct answer: 4. Polycythemia